The specific micro-organism suspected to cause food poisoning on the basis of short incubation period are all of the following except:
1. Staphylococcus aureus
2. B. cereus
3. E.coli
4. C. perfringens

Correct answer: 3. E.coli

Explanation: Esch.coli causes food poisoning having long incubation period. All other options have a shorter incubation period. Food Poisoning Organism Incubation period Staphylococcus 1-6 hours Salmonella 12-24 hours Botulism 12-36 hours Clostridium perfringens 6-24 hours Bacillus cereus 1-6 hours E.coli 8-72 hours